Superficial branch of ulnar nerve supplies
1. Palmaris brevis
2. Opponens pollicis
3. Adductor pollicis
4. Abductor digiti minimi

Correct answer: 1. Palmaris brevis

Explanation: Superficial branch of ulnar nerve supplies palmaris brevis and gives digital branches to medial 1 1/2 digits including medial 1 1/2 nail beds till the interphalangeal joints . Opponens pollicis is supplied by the recurrent branch of median nerve . Adductor pollicis and abductor digiti minimi is supplied by the deep branch of ulnar nerve . B D Chaurasia 7th edition Page no : 124